Prolonged administration of testosterone in a man causes:
1. Azoospermia
2. Increased GnRH
3. Increased sperm mobility
4. Increased spermiogenesis

Correct answer: 1. Azoospermia

Explanation: A i.e. Azoospermia Prolonged administration of testosterone in males causes azoospermiaQ. Testosterone & Male sterility - The fact that intratesticular levels of testosterone need to be greater than 100 folds higher than circulating levels of hormone to maintain normal rates of spermatogenesis; however, it is the circulating levels of testosterone that provide the negative feedback to pituitary & hypothalamus is an important loophole in male reproductive axis. This means that exogenous testosterone (T) administration can raise circulating levels of T. sufficient to inhibit LH but not sufficient to accumulate in testis at required concentration for normal spermatogenesis. However, decreased LH levels will further diminish intratesticular production of testosterone by Leydig cells resulting in reduced spermatogenesis. - This is the cause for sterility in cases of prolonged testosterone administration or steroid abuse in menQ. And this loophole is recently being researched as a possible strategy for developing male oral contraceptives.